The karyotope in testicular feminising syndrome is ?
1. XX
2. XY
3. XXY
4. XXXY

Correct answer: 2. XY

Explanation: Testicular feminising syndrome or androgen insensitivity syndrome is an X linked disorder of androgen action. It is characterised by resistance to androgens. Its karyotype is 46,XY. Pathology Affected individuals are genotypically male with a 46XY karyotype but with a female phenotype ( Genetics Thought to carry an X linked recessive inheritance 3 where multiple mutations in the androgen receptor (AR) gene has been localized to the long arm of the X chromosome (i.e. Xq11-13). Reference: Ghai TB of pediatrics 8th edition,pg 538 table 17.32